The main drawback of a saddle pontic is:
1. It is unhygienic
2. It is unaesthetic
3. It is bulky
4. It does not restore the tooth contours

Correct answer: 1. It is unhygienic